The standard of care in splenctomy patients involves use of all the above vaccines except
1. H Influenzae type b
2. Meningococcal vaccine
3. Pneumococcal vaccine
4. Typhoid vaccine

Correct answer: 4. Typhoid vaccine

Explanation: Answer- D. Typhoid vaccineThe standard of care for postsplenectomy patients includes immunization within 2 weeks of splenectomy with:Polyvalent pneumococcal vaccine (PPV23),H. influenzae type b conjugate, andMeningococcal polysaccharide vaccine